Desmopressin nasal spray is most useful in which of the following Von Willibrand Disease?
1. Type 1 VWD
2. Type 2A VWD
3. Type 3 VWD
4. Type I & Type III

Correct answer: 1. Type 1 VWD

Explanation: It increases the release of VWF from endothelium. Ref: Harrisons Principles of Internal Medicine, 18th Edition, Page 972.